Fusion inhibitor is-
1. Enfuvirtide
2. Ritonavir
3. Efavirenz
4. Didanosine

Correct answer: 1. Enfuvirtide

Explanation: Ans. is 'a' i.e., Enfuvirtide New drugs in HIV infection o Etravirine is recently approved NNRTI. This is the second generation NNRTI and is effective against HIV resistant to first generation NNRTI (Efavirenz, Delavirdine. Nevirapine). Fusion inhibitors (Entry inhibitors) o Enfuvirtide binds to Gp41 subunit of HIV envelop protein and inhibits the fusion of viral and host cell membrane. o Maraviroc is a CCR5 Co-receptor antagonist and is only active against "CCR - 5 - tropic virus" which tends to predominate early in infection. Integrase inhibitors o Raltegravir and Elvitegravir act by inhibiting enzyme integrase.